Ibuprofen acts on
1. Lipoxygenase pathway
2. Cyclo-oxygenase pathway
3. Kinine system
4. Serotonin synthesis

Correct answer: 2. Cyclo-oxygenase pathway

Explanation: (Cyclo-oxygenase pathway) (157, 176-KDT) (184-KDT 6th)Biosynthesis of prostaglandins (PG) and LeukotrienesIBUPROFEN - Propionic acid derivative. All inhibits PG synthesis, naproxen being most potent. They inhibit platelet aggregation and prolong bleeding time.A. Non selective COX inhibitors (Conventional NSAIDS)1. Salicylates - Aspirin, Diflunisol2. Pyrazolone derivative - Phenylbutazone, Oxyphenbutazone3. Indole derivative - Indomethacin, Sulindac4. Propionic acid derivatives - Ibuprofen, Naproxen, Ketoprofen, Flurbiprofen5. Anthranilic acid derivative - Mephenamic acid6. Aryl-acetic acid derivatives - Diclofenac7. Oxicam-derivatives - Piroxicam, Tenoxicam8. Pyrrolo-pyrrole derivative - KetorolacB. Preferential COX-2 inhibitors - Nimesulide, Meloxicam, NabumetoneC. Selective COX inhibitors - Celecoxib, Rofecoxib, Veldecoxib, Etoricoxib